Which of the following is affected by platelet count-
1. Bleeding time
2. Prothrombin time
3. Patial thromboplastin time
4. Thrombin time

Correct answer: 1. Bleeding time

Explanation: Bleeding time is affected by platelet count.Platelets form critical role in haemostasis by forming the primary plug that initially seals vascular defects and by providing a surface that binds and concentrates activated coagulation factors. Prothrombin time assesses extrinsic and common coagulation pathway. PTT assesses the intrinsic and common clotting pathways. Thrombin time is a screening test for fibrinogen deficiency Reference ;1 Robbins and Cotran Pathologic basis of disease.South Asia Edition-9; volume 1.page no.117,656 2.Harsh Mohan textbook of pathology 7th edition.Pg no.307 308